Ring scotoma is seen in –a) Retinitis pigmentosa b) Glaucomac) Cataractd) Retinal detachment
1. ab
2. a
3. ad
4. bc

Correct answer: 1. ab

Explanation: Ring scotoma is seen in retinitis pigmentosa, high myopia, POAG, aphakic spectacle correction and after panretinal photocoagulation.